What is the dose of Amoxicillin that has to be administered in Triple-drug regimen for H. pylori?
1. 500mg BD
2. 500mg TDS
3. 1g BD
4. 1g OD

Correct answer: 3. 1g BD

Explanation: Triple drug regimen for H. pylori : PPI Twice daily Clarithromycin - 500mg Twice daily Amoxicillin-1g Twice daily or Metronidazole-500mg Twice daily. Due to increasing treatment failures attributable to rising Clarithromycin resistance, "Quadruple therapy" is now recommended as first-line treatment for patients who likely have Clarithromycin resistance due to prior exposure or to residence in regions with high clarithromycin resistance.Two 14-day treatment regimens currently are recommended. Each includes a PPI twice daily with either: (a) Bismuth subsalicylate 524mg, Metronidazole 500mg, and Tetracycline 500 mg, all given Four times daily; (b) Amoxicillin 1g, Clarithromycin 500mg, and Metronidazole 500 mg, all given Twice daily. After completion of antibiotic therapy, the PPI should be continued once daily for a total of 4-6 weeks to ensure complete ulcer healing.